All of the following lesions causing paralysis of extraocular muscles produce diplopia except:
1. Nuclear lesions
2. Lesions of nerve trunks
3. Lesions of neuromuscular junction
4. Lesions of supranuclear pathways

Correct answer: 4. Lesions of supranuclear pathways

Explanation: Ans. Lesions of supranuclear pathways